The vitamin present in the fatty acid synthase complex is:
1. Pyridoxine
2. Folate
3. Pantothenate
4. Thiamine

Correct answer: 3. Pantothenate

Explanation: Fatty acid synthase complex Has ACP (Acyl carrier protein) which has Pantothenic acid Main enzyme of fatty acid synthesis. RLE of fatty acid synthesis is Acetyl CoA Carboxylase (also called Malonyl CoA Synthetase).